Esophageal carcinoma what is the most important prognostic indicator?
1. Length of involvement
2. Depth of invasion
3. Histological grading
4. Immunohistochemistry

Correct answer: 2. Depth of invasion

Explanation: Answer- B. Depth of invasionThe depth of invasion of the tumor through the wall of esophagus, is the most important prognostic indicator, with considerable independent prognostic significance.